Malignant melanoma of the choroid will produce:
1. Retinal dialysis
2. Exudative retinal detachment
3. Traction retinal detachment
4. Rhegmatogenous retinal detachment

Correct answer: 2. Exudative retinal detachment

Explanation: Ans. B i.e. Exudative retinal detachment